Clozapine was the first antipsychotic drug. Which of the following is an indication for the use of Clozapine?
1. Resistant schizophrenia
2. Akathesia
3. First drug to be used for schizpophrenia
4. Used for schizophrenia with depression

Correct answer: 1. Resistant schizophrenia

Explanation: Clozapine has been approved for, Patients with schizophrenia who have failed to respond adequately to typical neuroleptic drugs (treatment-resistant schizophrenia) Patients who are intolerant of typical neuroleptic drugs because of EPS or tardive dyskinesia Patients who are at high risk for suicide Ref: Meltzer H.Y., Bobo W.V., Heckers S.H., Fatemi H.S. (2008). Chapter 16. Schizophrenia. In M.H. Ebe, P.T. Loosen, B. Nurcombe, J.F. Leckman (Eds),CURRENT Diagnosis & Treatment: Psychiatry, 2e.